A 32-week, 1400g neonate is born to a primigravida. The baby did not require resuscitation and showed stable vitals. The baby was transferred to the NICU. How will you manage the feeding of the patient?
1. Start total enteral feeding & IV nutrition not required
2. Start IV nutrition with minimal enteral feeding
3. Start IV nutrition and introduce feeds on 2nd day of life
4. Start parenteral nutrition and institute oral feeding on 2nd day of life

Correct answer: 1. Start total enteral feeding & IV nutrition not required

Explanation: Feeding of preterm neonate Gestational age Preferred initial mode of feeding <28 weeks IV Fluids +/- TPN (TPN: Total parental nutrition) 28-31 weeks Orogastric tube feeding 32-34 weeks Katori spoon feeding or Paladai feeding >34 weeks Direct breast feeding As the neonate in the question is born at 32 weeks and is vitally stable, start with total enteral feeding. IV fluids and IV nutrition and minimal enteral nutrition in this neoante is indicated if the neonate has hemodynamic compromise or is unstable.